Tuberculides are seen in –
1. Lupus vulgaris
2. Scrofuloderma
3. Lichen scrofulosorum
4. Erythema nodosum

Correct answer: 3. Lichen scrofulosorum

Explanation: The definite (true) tuberculides are erythema induratuni (Bazin's disease), papulonecrotic tuberculid, Lichen scrofulosorum.